The parameters of sensitivity and specificity are used for assessing-
1. Criterion validity
2. Construct validity
3. Discriminant validity
4. Content validity

Correct answer: 1. Criterion validity

Explanation: - validity refers to what extent the test accurately measures which it purports to measure. - it has two components ; sensitivity specificity. Reference : Park's textbook of preventive and social medicine, 23rd edition, pg no:138